False about hydatid cyst of liver:
1. Mostly asymptomatic
2. Most commonly located in right lobe of liver
3. Most common causative organism is echinococcus granulosus
4. Hepatic resection is never done

Correct answer: 4. Hepatic resection is never done

Explanation: Ans is 'd' i.e. Hepatic resection is never done Laparoscopic aspiration, unroofing and evacuation of the hepatic hydatid cysts can be done.